Acute , fulminating type of carious process characterized by the simultaneous involvement of multiple numbers of teeth in multiple surfaces of teeth, is:
1. Nursing bottle caries.
2. Rampant caries.
3. Linear enamel caries.
4. All of the above.

Correct answer: 2. Rampant caries.